Post operative hypoparathyroidism related hypocalcemia usually presents with in
1. 48 hours
2. 10 days
3. 10 weeks
4. 6 month

Correct answer: 1. 48 hours

Explanation: (A) (48 hours) (762- Bailey & Love 26th)Parathyroid insufficiency - the incidence of permanent hypoparathyroidism should be less than 1% and most cases present dramatically 2-5 days after operation, but very rarely, the onset is delayed for 2-3 weeks or if a patients with marked hypocalcaemia is asymptomatic